Women undergoing infertility treatment are advised to avoid NSAIDs in preovulatory period because
1. Prostaglandins contribute to ovulation
2. NSAIDs inhibit LH surge
3. NSAIDs cause premature rupture of follicle
4. NSAIDs like aspirin cause endometrial shedding.

Correct answer: 1. Prostaglandins contribute to ovulation

Explanation: Prostaglandin stimulates smooth muscle contraction in ovary, contributing to ovulation.  prostaglandin synthetase inhibitors if taken in pre ovulatory period can cause luteinized unruptured follicle syndrome (LUFS).